'La facies sympathique' is a condition seen in cases of:
1. Hanging
2. Strangulation
3. Myocardial insufficiency
4. Railway accidents

Correct answer: 1. Hanging

Explanation: A i.e. Hanging When ligature knot presses on cervical sympathetics the eye on the same side may remain open and its pupil dilatedQ, fascie sympathetique) indicating antemortem hangingQ